Stereotactic radiosurgery is used in which of the following conditions?
1. Metastatic brain tumors
2. Arteriovenous malformations
3. Trigeminal neuralgia
4. All of the above

Correct answer: 4. All of the above

Explanation: STEREOTACTIC RADIOSURGERY - SRS is a non-surgical radiation therapy used to treat functional abnormalities & small tumors of brain - Deliver precisely-targeted concentrated dose of radiation in fewer high-dose treatments to a defined volume in the brain Common uses of Stereotactic Radiosurgery (BAT) - Brain tumor(Benign, malignant, primary & metastatic tumors, single & multiple) - Benign lesions of cranial nerves - Arteriovenous malformations - Trigeminal neuralgia